All are seen in Gigantism EXCEPT:
1. Intellectual disability
2. Visceromegaly
3. Large foot
4. Cardiovascular damage

Correct answer: 1. Intellectual disability

Explanation: ANSWER: (A) Intellectual disabilityREF: Harrisons 17th ed chapter 338In children and adolescents, initiation of GH hypersecretion prior to epiphyseal long bone closure is associated with development of pituitary gigantism,Soft tissue swelling results in increased heel pad thickness, increased shoe or glove size, ring tightening, characteristic coarse facial features, and a large fleshy nose.Other commonly encountered clinical features include hyperhidrosis, deep and hollowsounding voice, oily skin, arthropathy, kyphosis, carpal tunnel syndrome, proximal muscle weakness and fatigue, acanthosis nigricans, and skin tags.Generalized visceromegaly occurs, including cardiomegaly, macroglossia, and thyroid gland enlargement.The most significant clinical impact of GH excess occurs with respect to the cardiovascular system, Coronary heart disease, cardiomyopathy with arrhythmias, left ventricular hypertrophy, decreased diastolic function, and hypertension occur in about 30% of patients.Upper airway obstruction with sleep apnea occurs in more than 60% of patients and is associated with both soft tissue laryngeal airway obstruction and central sleep dysfunction,Diabetes mellitus develops in 25% of patients with acromegaly, and most patients are intolerant of a glucose load (as GH counteracts the action of insulin).Acromegaly is associated with an increased risk of colon polyps and mortality from colonic malignancy; polyps are diagnosed in up to one-third of patients